The functional cusps are bevelled in the preparation of posterior cast crowns:
1. To reduce the stress at the line angles
2. To prevent the fracture of the tooth structure
3. For the structural durability of the restoration
4. To help in the retention

Correct answer: 3. For the structural durability of the restoration